Janani shishu suraksha karyakram includes
1. Free treatment to newborn till 45 days of delivery
2. Free treatment to newborn till 40 days of delivery
3. Free food to mother and child
4. Free delivery in hospital

Correct answer: 4. Free delivery in hospital

Explanation: JANANI SHISHU SURAKSHA KARYAKRAM The government of India launched this programme on 1st June 2011. The National initiative for better facilities for mother and child. Major initiatives:- All pregnant women delivering in public health institutions to have absolutely free and no expense delivery including caesarean section. The entitlements include free drugs and consumables, free diet upto 3 days during normal delivery and 7 days for caesarean section, free diagnostics, free blood, free transport from home to the institution. Similar entitlements have been put in place for all sick newborns assessing public health institutions for treatment till 30 days after birth. The scheme has now been extended to cover complications during ANC, PNC and also sick infants. The scheme motivates institutional deliveries. Reference-park's textbook of preventive and social medicine, 23rd edition, pg no.456